An adult male presenting with gradually increasing dysphagia more for solids, hoarseness of voice and palpable cervical lymphadenopathy, diagnosis is -
1. Corrosive esophageal stricture
2. Achalasia cardia
3. Diffuse esophageal spasm
4. Malignant stricture of esophagus

Correct answer: 4. Malignant stricture of esophagus

Explanation: Ans. is 'd' i.e., Malignant stricture of esophagus * Dysphagia for solids, with positive cervical lymph nodes with associated hoarseness of voice strongly points in the favour of an esophageal malignancy* Dysphagia equal for both solids and liquids from the very onset of disease suggests motor disorder like# Achalasia# Diffuse esophageal spasm* Dysphagia more for solids than liquids implies mechanical obstruction# Ca esophagus# Strictures# Webs